Kleine Levine syndrome is
1. Insomnia
2. Depression
3. Anxiety
4. Hypersomnia

Correct answer: 4. Hypersomnia

Explanation: Kleine Levin syndrome- is the best-recognized recurrent hypersomnia. It afflicts males in early adolescence. In its classic form, the recurrent episodes are associated with a) extreme sleepiness (18- to 20-hour sleep periods) b) voracious eating, c)hypersexuality, d) disinhibition (e.g., aggression). Episodes typically last for a few days up to several weeks and appear once to ten times per year. A monosymptomatic hypersomnolent form can occur. Reference: P 2161 chap. 20 Sleep Disorders(Kaplan & Sadock's Comprehensive Textbook of Psychiatry, 9th Edition)